All of the following are features of wet gangrene except
1. Spreads faster
2. Line of demarcation
3. Arterial and venous block
4. Not Localised

Correct answer: 2. Line of demarcation

Explanation: In wet gangrene there is no line of demarcation.